Activity of all of the following enzymes is increased in diabetes state except
1. Pyruvate carboxylase
2. PEP Carboxykinase
3. Pyruvate dehydrogenase
4. Glucose 6 phosphatase

Correct answer: 3. Pyruvate dehydrogenase